Lung volume at the end of quiet expiration:
1. Functional reserve capacity
2. Expiratory reserve volume
3. Residual volume
4. Tidal volume

Correct answer: 1. Functional reserve capacity

Explanation: Ans. a (Functional reserve capacity). (Ref. Guyton 11th/pg. pg. 477; Ganong Physiology 22nd ed. 651).The functional residual capacity (FRC), which is the volume of air that remains in the lungs at the end of each normal expiration, is important to lung function. Because its value changes markedly in some types of pulmonary disease, it is often desirable to measure this capacity. The spirometer cannot be used in a direct way to measure the functional residual capacity, because the air in the residual volume of the lungs cannot be expired into the spirometer, and this volume constitutes about one half of the functional residual capacity. To measure functional residual capacity, the spirometer must be used in an indirect manner, usually by means of a helium dilution method.LUNG VOLUMES Lung VolumeDefinitionNormal value1.Residual volume (RV)Air in lung at maximal expiration1..2L2.Expiratory reserve volume (ERV)Air that can still be breathed out after normal expiration2.2 L3.Tidal volume (TV)Air that moves into lung with each quiet inspiration500 ml4.Inspiratory reserve volume (IRV)Air in excess of tidal volume that moves into lung on maximum inspiration3.3 L5.Vital capacity (VC)It is everything but the residual volume 5.4 L6.Timed Vital CapacityFEV10.787.Functional reserve capacity (FRC)RV + ERV. Volume in lungs after a normal respiration3.4 L8.Inspiratory capacity (1C)IRV + TV3.7 L9.Total lung capacityTLC = IRV + TV + ERV + RV6.6 L10.Closing lung volume